All of the following statement about heparin are true except -
1. Causes alopecia
2. Non teratogenic
3. Releases lipoprotein lipase
4. Causes hypokalemia

Correct answer: 4. Causes hypokalemia

Explanation: Ans. is 'd' i.e., Causes hypokalemia o Heparin can cause alopecia o Heparin does not cross placenta ---> nonteratogenic o Heparin releases lipoprotein lipase from vessel wall. o Heparin causes hyperkalemia (not hypokalemia).